Ampicillin is not given in EB virus infection due to :
1. Due to increased toxicity
2. Skin rash
3. Blindness
4. Convulsions

Correct answer: 2. Skin rash